An increased dose of spinal anaesthetic is indicated in a patient who has/is
1. Ascites
2. Increased height of the patient
3. Pregnant
4. Obese

Correct answer: 2. Increased height of the patient

Explanation: All others are reasons for decreasing the dosage